Which of the following indicates a longer term nutritional status?
1. Mid arm circumference
2. Height for age
3. Weight for age
4. Weight for height

Correct answer: 2. Height for age

Explanation: Height for age is considered the best indicator of long term nutritional status and best measure of cumulative growth retardation (stunting) Ref: Clinics, Stoves, and Ill-behaved Children: Essays in Health and Development Economics, ProQuest, 2008 - Pg 44; Disease And Mortality in Sub-Saharan Africa, World Bank Publications, 2006 - Pg 90; Essential Pediatrics by O P Ghai 6th Edition, Page 101; Textbook of Social and Preventive medicine by Park 19th Edition, Page 434.